Sumatriptan is :
1. 5HT1D antagonist
2. 5HT1A agonist
3. 5HT1D agonist
4. 5HT1A antagonist

Correct answer: 3. 5HT1D agonist